Glucagon hydrochloride is used in poisoning of:
1. Beta blocker
2. Calcium channel blocker
3. Tricyclic antidepressants
4. SSRI

Correct answer: 1. Beta blocker

Explanation: Ref: Basic tPS Clinical Pharmacology by Katzung Twelfth Edition p.1033Explanation:Common Antidotes (See table below)* 5-10 mg IV bolus of glucagon may reverse hypotension and bradycardiaCommon AntidotesAntidotePoisonAcetylcysterne AtropineAcetaminophenAnticholinesteraseintoxication:OrganophosphatesCarbamatesBicarbonate sodiumMembrane - depressant cardiotoxic drugs Tricyclic antidepressants QuinidineCalciumFluorideCalcium channel blockersDesferoxamineIron saltsDigoxin antibodiesDigoxinRelated cardiac GlycosidesEsmololTheophylline Caffeine MetaproterenolEthano1Methano 1 Ethylene glycolFlumazenilBenzodiazepinesFomepizoleMethanol Ethylene glycolGlucagonP blockersHydroxocobalaminCyanideNaloxoneNarcotic drugs Other opioid DerivativesOxygenCarbon monoxidePralidoxime (2 -P AM)Orga no phosphate (0 P) cholinesterase inhibitors